In computed tomography (CT) the attenuation value are measured in hounsefield units (HU). An attenuation value of '0' (zero) HV corresponds to -
1. Water
2. Very dense bone structure
3. AIR
4. Fat

Correct answer: 1. Water

Explanation: Water is arbitrarily assigned a value of zero (0) Hounsfield units (HU).